Cavallo's sign is seen in -
1. Tricuspid Regurgitation
2. Mitral Stenosis
3. Aortic Stenosis
4. Aortic Regurgitation

Correct answer: 1. Tricuspid Regurgitation

Explanation: Ans. A. Tricuspid Regurgitation